Which of the following is XLR?
1. Cystic fibrosis
2. Haemophilia
3. Hereditary spherocytosis
4. Neurofibromatosis

Correct answer: 2. Haemophilia

Explanation: Ans (b) HaemophiliaRef: Robbings pathology 9th ed. 1142X-LINKED RECESSIVE* X-linked recessive disorders are also caused by mutations in genes on the X chromosome.* Males are more frequently affected than females, and the chance of passing on the disorder differs between men and women.* Families with an X-linked recessive disorder often have affected males, but rarely affected females, in each generation.* A characteristic of X-linked inheritance is that fathers cannot pass X-linked traits to their sons (no male-to- male transmission).Mnemonic for XLR disorders"Less HCG is Detected Clinically in A Fragile Woman"* Lesch-Nyhan syndrome* Hemophilia, Hunters* Chronic granulomatous disease* G6PD deficiency* Duchenne muscular dystrophy* Colorblindness* Agammaglobulnimea* Fragile X Syndrome* Wiskott-Aldrich syndrome